Under the RNTCP, sputum culture for MDR TB is to be examined for at least:
1. 4 weeks
2. 8 weeks
3. 10 weeks
4. 12 weeks

Correct answer: 2. 8 weeks

Explanation: All cultures should be examined 48-72 hours after inoculation to detect gross contaminants. Thereafter cultures are examined weekly, up to 8 weeks on a specified day of the week. Ref: